Kidney producesa) Vasopressinb)  Erythropoietinc) Renind) Angiotensinogene) 25 hydroxy vit D
1. bc
2. c
3. ac
4. ad

Correct answer: 1. bc

Explanation: Hormones secreted by Kidney

Renin
Erythropoietin
1,25 DHCC